The scatter plot is used to display
1. Causality
2. Correlation
3. Power
4. Type II error

Correct answer: 2. Correlation

Explanation: STATISTICAL MAPS When statistical data refer to geographic or administrative areas, it is presented either as "Shaded Maps" or "Dot maps" according to suitability. The shaded maps are used to present data of varying size. The areas are shaded with different colours, or different intensities of the same colour, which is indicated in the key. Scatter diagram shows the relationship between two variables, e.g., Fig. 10 shows a positive correlation between the intakes of fat and sugar in the average diets of 41 countries. Populations with more income are known to consume more protein, fat and also sugar If the dots cluster round a straight line, it shows evidence of a relationship of a linear nature. If there is no such cluster, it is probable that there is no relationship between the variables. Ref : Park 23rd edition Pgno : 846